If a diabetic patient being treated with an oral hypoglycemic agent develops dilutional Hyponatremia, which one of the following could be responsible for this effect
1. Chlorpropamide
2. Tolbutamide
3. Glyburide
4. Glimepride

Correct answer: 1. Chlorpropamide

Explanation: Refer KDT 6 /e p 267 Chlorpropamide is a first generation Sulfonylureas It increases the risk of hypoglycemia Other adverse effects of Chlorpropamide are ADH like action leading to dilutional Hyponatremia Cholestatic jaundice Disulfuram like reaction